Which is not a cytopathic effect of virus -
1. Syncytium formation
2. Budding
3. Balloning and floating
4. Focal degeneration

Correct answer: 2. Budding

Explanation: Syncitium formation(measels),focal degeneration(herpes virus),balloning &floating are cytopathi effect REF:ANANTHA NARAYANAN MICROBIOLOGY NINTH EDITION PAGE.436